Which one of the tissues putrefies late:
1. Brain
2. Prostate
3. Liver
4. Stomach

Correct answer: 2. Prostate

Explanation: Ans. is 'b' i.e. prostateRef. Parik 6th/e p3.26 (5th/e p164)Prostate & testis in male and non gravid uterus and ovaries in female are the last organs to putrefy:As a general rule organs show putrefaction in following order:Larynx and TracheaStomach intestine and spleenLiver, LungsBrainHeartKidney, bladder, uterus, prostateSkin, muscle, tendonsBones